Polka dot appearance on CT scan is seen in which of the following?
1. Ewing's sarcoma
2. Osteosarcoma
3. Vertebral hemangioma
4. Eosinophilic granuloma

Correct answer: 3. Vertebral hemangioma

Explanation: Ans. is 'c' i.e., Vertebral hemangioma Characteristic radiological features of few bone tumorso Celery-stick appearanceEnchondromaso Coat-hanger appearanceOsteochondromao Codman tumor and chicken-wire calcificationChondroblastomao Double density sign on radionuclide scanOsteoid osteomao Nidus and sclerotic rimOstoid osteomao "Driven snow" appearancePindborg tumoro Fallen fragment/'Hinged fragment signSimple (unicameral) bone cysto "Eggshell" covering of expansile cortex over surface of lesionABCo ' Soap bubble' appearanceABCo Soap bubble appearance (& goes into comers)GCT (Osteoclastoma)o 'Floating tooth' signEosinophilic granuloma, adamantinomao Onion skin (onion peel) appearanceEwing sarcomao Skip lesionsOsteosarcoma, Ewings sarcomao 'Sunrav/Sunburst' appearanceOsteosarcomao String sign (to differentiate from myositis ossificans)Parosteal osteosarcomao Popcom/mottled calcificationChondrosarcomao Shepherd's crook deformityFibrous dysplasiao Codman's triangleOsteosarcoma, Ewing sarcomao Winking owl signMetastasis to pedicles of vertebrao Corduroy/accordian vertebra'vertical striationsVertebra] hemangiomao Polka dot sign on CTVertebral hemangiomao Geographical skullEosinophilic granulomao Hole-within-a-hole lesionEosinophilic granuloma